Amyloid that occurs in long-term hemodialysis
1. Amyloid light chain
2. Amyloid associated protein
3. Amyloid Beta-2 microglobin
4. Beta amyloid protein

Correct answer: 3. Amyloid Beta-2 microglobin

Explanation: Ans. c (Amyloid Beta-2 Microglobin) (Ref. Robbins Pathologic basis of disease 8th/ Table 5-12.)Patients on long-term hemodialysis for renal failure develop amyloidosis owing to deposition of b2 -microglobulin.This protein is present in high concentrations in the serum of patients with renal disease and is retained in circulation because it cannot be filtered through the cuprophane dialysis membranes.CLASSIFICATION OF AMYLOIDOSISClinicopathologic categoryAssociated diseasesMajor fibril proteinPrecursor proteinSystemic (Generalized) AmyloidosisImmunocyte dyscrasias with amyloidosis (primary amyloidosis)Multiple myeloma and other monoclonalB-cell proliferationsALImmunoglobulin light chains, chiefly y typeReactive systemic amyloidosis (secondary amyloidosis)Chronic inflammatory conditionsAASAAHemodialysis-associated amyloidosisChronic renal failureAB2mB2 microglobulinFamilial Mediterranean fever-AASAAFamilial amyloidotic neuropathies-ATTRTransthyretinSenile amyloidosis-ATTRTransthyretinLocalized AmyloidosisSenile cerebralAlzheimer diseaseARAPPMedullary carcinoma of thyroid-A CalCalcitoninIslets of LangerhansType 2 diabetesAIAPPIslet amyloid peptideIsolated atrial amyloidosis-AANFAtrial natriuretic factorPrion diseaseVarious prion diseases of the CNSMisfolded prion protein (PrPSC)Normal prion protein PrP